Which of the following metabolic reactions require vitami B12 but not folate?
1. Conversion of malonic acid to succinic acid
2. Conversion of homocysteine to methionine
3. Conversion of serine to glycine
4. Thymidylate synthesis

Correct answer: 1. Conversion of malonic acid to succinic acid

Explanation: (Ref: KDT 6/e p588) Conversion of malonic acid to succinic acid requires vitamin B12 but not folate. This reaction is required for myelin formation and deficiency of B12 is responsible for demyelination.